All are TRUE regarding filariasis EXCEPT:
1. Involves lymphatic system
2. Caused by wuchereria bancrofti
3. Man is an intermediate host
4. DEC is used in treatment

Correct answer: 3. Man is an intermediate host

Explanation: Ans. (c) Man is an intermediate hostRef: Manson's tropical diseases 22nd ed. /1477For filarial parasiteFor malarial parasite* Man: Definitive host* Mosquito: Intermediate host* Man: intermediate host* Mosquito: definitive hostLYMPHATIC FILARIASIS* Lymphatic filariasis is caused by W. Bancrofts B. Malayi and B. Timori.* Man is definitive host and mosquito acts as intermediate host.* Microfilariae resides in the blood and adult worm in the lymphatics.* The principal pathologic changes result from inflammatory damage to the lymphatics, which is caused by adult worms and not by microfilariae.Clinical Manifestations* Asymptomatic or subclinical microfilaremia* Acute adenolymphangitis* Hydrocele* Chronic lymphatic diseaseDiagnosis* A definitive diagnosis can be made only by detection of parasite.* Assays for circulating antigens of W. bancrofti permit the diagnosis of microfilaremic and nonmicrofilaremic infection. Tests are:# ELISA# Rapid-format immunochromatographic card test.# Ultrasound in conduction with Doppler techniques may result in the identification of motile adult worms: Filarial dance sign.* Treatment: Diethylcarbamazine: Drug of choice.